Tick the odd one out
1. Degassing
2. Desorbing
3. annealing
4. Metalizing

Correct answer: 4. Metalizing